Multiple sebaceous tumors are observed in wof
1. Carney complex
2. Cowden's syndrome
3. Gardner's syndrome
4. Muir- Torre syndrome

Correct answer: 4. Muir- Torre syndrome

Explanation: Muir-Torre Syndrome * AD, mutation in MLH1 and MSH2 (DNA mismatch repair genes) causing microsatellite instability * Multiple sebaceous neoplasms and keratoacanthomas * | Risk of colon adenocarcinoma, less common GU, lung, breast or heme malignancy. Ref:- Sima Jain; pg num:- 65